In nonexposed persons, the level of coproporphyrin in urine is :
1. Less than 150 microgram/litre
2. Less than 1000 microgram/litre
3. More than 500 microgram/litre
4. None of the above

Correct answer: 1. Less than 150 microgram/litre

Explanation: A i.e. < 150 mg/litres